Myofunctional appliances are highly effective in Class II malocclusion with
1. Prognathic maxilla and normal mandible
2. Prognathic maxilla and retrognathic mandible
3. Normal maxilla and Retrognathic mandible
4. Retrognathic maxilla and normal mandible

Correct answer: 3. Normal maxilla and Retrognathic mandible

Explanation: Moderate to severe skeletal class II malocclusions are ideally suited for functional appliance treatment. Class II division 1 malocclusion exhibiting a class II skeletal tendency due to a short or retrognathic mandible can be considered functional therapy.
Class II Div. 2 type of malocclusion may be treated with functional appliances after correcting the axial inclinations of the maxillary anteriors.
Mild class III malocclusions which present with a reverse overjet and an average overbite can be regarded as potentially treatable with functional appliances.
Low angle cases (i.e., horizontal growers) respond well as most functional appliances encourage the development of posterior teeth.
High angle (vertical growers) class II cases are usually of 2 categories — those with increased overbite and those with some degree of open bite. The deep overbite type of high angle cases are successfully treated using functional appliances while the open bite type of case poses a special problem. Most functional appliances allow vertical development of the posterior dentoalveolar structures, which may induce unwanted backward rotation of the mandible.